All the following conditions cause thrombocytopenia except
1. Giant hemangioma
2. Infectious mononucleosis
3. HIV infection
4. Iron deficiency anemia

Correct answer: 4. Iron deficiency anemia

Explanation: Ans. (d) Iron deficiency anemia(Ref: Robbins 9th/pg 657-658; 8th/pg 667-668; Wintrobe's 12th/pg 1595)Thrombocytopenia refers to platelet count <1.5lac/cummQRefer to pretext of this chapter for important causes of ThrombocytopeniaThrombocytopenia is seen in 50% of patients with Infectious MononucleosisThrombocytosis is seen in Iron deficiency Anemia, platelet counts rise to twice the normal value and return to normal with Iron therapy. Exact cause unknown, but probably due to | level of Erythropoietin